Foster's fusch's spots are seen in
1. Hypermetropiea
2. Myopia
3. Astigmatism
4. None

Correct answer: 2. Myopia

Explanation: Ans. Myopia